Liley curve for evaluation of amnionic fluid bilirubin in Rh sensitized patient starts at
1. 14weeks
2. 16weeks
3. 20weeks
4. 26weeks

Correct answer: 4. 26weeks

Explanation: The main limitation of the liley curve is that it starts at 26weeks gestation and extrapolation of the lines to earlier gestational ages is inaccurate. Queenan has developed a curve for fetal assessment from 14-40weeks, divided into 4zones